Which glomerular lesion is seen in cases of  reflux nephropathy
1. RPGN
2. MPGN
3. MGN
4. FSGS

Correct answer: 4. FSGS

Explanation: FSGS is seen in cases of congenital renal anomalies (unilateral renal agenesis or renal dysplasia) and acquited causes like reflex nephropathy.